A 19 year old female complains of worsening facial pain for the past 1 week. She describes it as an intense shooting pain that comes and goes. It is only present on her right face. Which of the following is most likely to be this patient’s underlying problem?
1. Tolosa hunt syndrome
2. Migraine
3. Multiple sclerosis
4. Anterior communicating aneurysm

Correct answer: 3. Multiple sclerosis

Explanation: Multiple sclerosis is often associated with trigeminal neuralgia. Remaining options are not associated with trigeminal neuralgia.